All of the following are histopathological findings of papillary carcinoma, except
1. Orphan Annie eye nuclei
2. Psammoma bodies
3. Monofocal papillary projections
4. Intranuclear grooves

Correct answer: 3. Monofocal papillary projections

Explanation: Pathology

Papillary projections
Psammoma bodies (concentric calcifications)
Pale empty (orphan annie) nuclei → FINELY DISPERSED CHROMATIN IMPARTS AN EMPTY APPEARANCE


Intranuclear grooves and nuclear characteristics are diagnostic of papillary carcinoma
Multifocality is common in papillary carcinoma
TSH levels are high; tumors are TSH dependent, hence follow-up with TSH.

Key Concept:

Multifocality is common (up to 85% of cases) on microscopic examination.
Multifocality is associated with an increased risk of cervical nodal metastases, rarely invade adjacent structures such as the trachea, esophagus, and RLNs.

RLN implies lymph nodes.